A 35 years old man Ramu has fasting and post prandial blood sugar within normal limit but urine sugar is 3 plus (+++). The diagnosis is.
1. Renal Glycosuria
2. Pancreatic insufficiency
3. Alimentary glycosuria
4. High carbohydrate diet taken in the morning

Correct answer: 1. Renal Glycosuria

Explanation: Answer is A (Renal Glycosuria): 'Renal glycosuria' is characterized by urinary excretion of glucose at normal concentration of glucose in blood: Patient in question is testing positive for urinary glucose despite normal levels of both fasting and postprandial glucose in blood. This thus leads us to the diagnosis of renal glycosuria.